Which of the following is an important disinfectant on account of effectively destroying gram positive and gram negative bacteria viruses and even spores at low pH levels
1. Alcohol
2. Hexachlorophene
3. Phenol
4. Chlorine

Correct answer: 4. Chlorine

Explanation: 1. Disinfection action of chlorine compounds is by release of free chlorine When hypochlorites are added to water , Hypochlorous acid is formed which is strong oxidizing agent and effective disinfectant Action is stable in even low pH. Hypochlorite (1%) used for used for routine serological disinfection, should not be used in presence of formaldehyde as it is carcinogenic. 2. Major limitations of chlorine compounds are that they are: Ineffective if used at an alkaline pH Less effective in the presence of excess organic matter Relatively unstable, especially if exposed to light.